Yuzpe method is a type of :
1. Post -- coital hormonal contraception
2. Male contraceptive method
3. Post -- coital IUCD contraception
4. Minilap sterilization

Correct answer: 1. Post -- coital hormonal contraception

Explanation: Post -- coital hormonal contraception